Largest reserve of energy in body stored as
1. Liver glycogen
2. Muscle glycogen
3. Adipose tissue
4. Blood glucose

Correct answer: 3. Adipose tissue

Explanation: Fat (triglycerides) in the adipose tissues is the largest store of energy of the body.